Letessier-meige disease is associated with
1. Lymphedema
2. A-V malformations
3. Abdominal aortic aneurysm
4. Chronic venous insufficiency

Correct answer: 1. Lymphedema

Explanation: In Letessier Meige disease, the lymphatic system abnormalities are present from birth (congenital), although the swelling is not apparent until puberty. The swelling often begins in the feet and ankles and progresses up the legs to the knees. Some affected individuals develop non-contagious skin infections called cellulitis or erysipelas in the legs, which can further damage the vessels that carry lymphatic fluid.